The amount of force needed to compact direct filling gold properly is influenced mostly by the:
1. Angle of compaction
2. Surface area of the condenser
3. Bulk of the surrounding tooth
4. Temperature at which gold is annealed

Correct answer: 2. Surface area of the condenser